A population of 100000 is under surveillance during a year. 100 cases were positive for malarial thick smear. 20 developed complications and 10 died among cases. What is the Annual parasite incidence?
1. 1 per 1000
2. 2 per 1000
3. 10 per 1000
4. 20 per 1000

Correct answer: 1. 1 per 1000

Explanation: API= 1 per 1000 API ( annual parasitic incidence) 1. Best indicator of malaria control 2. ABER >= 10 % 3. API >= 2 - high risk area